Investigation of choice for retinoblastoma is
1. X ray
2. USG
3. CECT
4. MRI

Correct answer: 4. MRI

Explanation: Retinoblastoma is malignant congenital intraocular tumour arising from primitive photoreceptor cells of the retina (included in primitive neuroectodermal tumour group)Two types -Heritable and non-heritableTrilateral retinoblastoma (rare variant)= bilateral retinoblastomas + neuroectodermal pineal tumor (pineoblastoma)Quadrilateral retinoblastoma= trilateral retinoblastoma + 4th focus in suprasellar cisternMRI is the modality of choice for pre-treatment staging on retinoblastomaPrognosis: Spontaneous regression in 1%Calcification is a favourable prognostic signContrast enhancement is a poor prognostic sign(Ref: Radiology Review ManualBy Wolfgang Dahnert 6thEtd, 351)